Which of the following drug is used as a diagnostic tool?
1. Cevimeline
2. Vedolizumab
3. Tensilon
4. Sacubitril

Correct answer: 3. Tensilon

Explanation: Tensilon also called -edrophonium test - used to differentiate myasthenia and cholinergic crisis. Ref: Katzung 13th ed. Pg 116